Contre-coup injuries are seen in:
1. Brain
2. Diazepam
3. Flumazenil
4. Ethyl alcohol

Correct answer: 1. Brain

Explanation: A i.e. Brain